J-Shaped sella turica is seen in
1. Hurler's disease
2. Multiple myeloma
3. Pinealoma
4. All the above

Correct answer: 1. Hurler's disease

Explanation: J-Sella turica in which tuberculum Sellae is flattened, thus forming the straight edge of the J seen in Hurler's disease.